What is the functional form of anterior teeth from the mesial or the distal aspect?
1. Rhomboidal
2. Trapezoidal
3. Elliptical
4. Wedge-shaped

Correct answer: 4. Wedge-shaped